Which of the following is a pro drug is ?
1. Levodopa
2. Poiglitazone
3. Dexamethasone
4. Captopril

Correct answer: 1. Levodopa

Explanation: Ans. is 'a' i.e., Levodopa Prodru Few drugs are inactive as such and need conversion in the body to one or more active metabolites. Such a drug is called a prodrug.